A young man was brought to the emergency department following head trauma. His Glasgow coma scale score was 10. All of the following are components of Glasgow Coma Scale, EXCEPT:
1. Eye opening
2. Motor response
3. Verbal response
4. Sensory impairment

Correct answer: 4. Sensory impairment

Explanation: Glasgow Coma Scale for Head Injury: Eye opening (E) Best motor response (M) Verbal response (V) Spontaneous 4 Obeys 6 Oriented 5 To loud voice 3 Localizes 5 Confused, disoriented 4 To pain 2 Withdraws (flexion) 4 Inappropriate words 3 Nil 1 Abnormal flexion posturing 3 Incomprehensible sounds 2 Extension posturing 2 Nil 1 Nil 1 Coma score = E + M + V. Patients scoring 3 or 4 have an 85% chance of dying or remaining vegetative, while scores >11 indicate only a 5-10% likelihood of death or vegetative state and 85% chance of moderate disability or good recovery. Intermediate scores correlate with proportional chances of recovery. Ref: Ropper A.H. (2012). Chapter 378. Concussion and Other Head Injuries. In D.L. Longo, A.S. Fauci, D.L. Kasper, S.L. Hauser, J.L. Jameson, J. Loscalzo (Eds), Harrison's Principles of Internal Medicine, 18e.